Which of the following disorders is not seen in the "REM" stage of sleep?
1. Nightmares
2. Narcolepsy
3. Somnambulism
4. Sleep apnea

Correct answer: 3. Somnambulism

Explanation: Ans. C. SomnambulismSlow wave sleep disordersa. Night terror/pavor nocturnusb. Somnambulismc. Somniloquyd. Bruxisme. Nocturnal enuresisREM (desynchronized sleep/paradoxical sleep disorder)a. Nightmaresb. Narcolepsyc. Insomniad. Sleep apnea